Erlenmeyer flask deformity of bones is seen in?
1. Achondroplasia
2. Osteopetrosis
3. Osteogenesis Imperfecta
4. Pagets disease

Correct answer: 2. Osteopetrosis

Explanation: Due to deficient osteoclast activity bones lack medullary canal and the ends become bulbous giving rise to Erlenmeyer flask deformity.